How much land is required for a population of 10000, to have a deep trench
1. 5 acre
2. 3 acre
3. 2 acre
4. 1 acre

Correct answer: 4. 1 acre

Explanation: * Sanitary landfill(controlled tipping)- most satisfactory method when land is available * Trench, ramp, area method. In trench method it is estimated that one acre of land per year will be required for 10000 population. Ref:- K Park, 24th ed; pg num:- 791